Which of the following steroids can be administered by inhalation -
1. Bec lomethasone
2. Betamethasone
3. Prednisolone
4. Hydrocortisone

Correct answer: 1. Bec lomethasone

Explanation: Ans. is 'a' i.e., Beclomethasone Inhaled steroids are o Beclomethasone o Budesonide o Flunisolide o Fluticasone o Triamcinolone o Ciclesonide